Postmortem caloricity is -
1. ↑-ed temp within 2 hours of death
2. Rapid fall in temp after death
3. ↑-ed temp after 6-8 hours of death
4. Decreases in temperature followed by rise

Correct answer: 1. ↑-ed temp within 2 hours of death

Explanation: In some situation, for initial 2-3 hours, dead body may gain temperature, known as postmortem caloricity.